Social pathology is-
1. Change in disease pattern due to change in lifestyle
2. Study of social problems which cause disease in population
3. Conflicts arising from new opportunities in transitional societies
4. Study of human relationships and behaviour

Correct answer: 2. Study of social problems which cause disease in population

Explanation: Ans. is 'b' i.e., Study of social problems which cause disease in population o Social Pathology: Is the study of social problems which undermine the social, psychological or economical health of the populations; it is used to describe relationship between disease and social conditions. o Social pathology is uncovered by 'Social surveys'.